Aplastic anemia is characterized by all EXCEPT
1. Pancytopenia
2. Moderate size spleen enlargement
3. Hypocellular bone marrow
4. Thrombocytopenia

Correct answer: 2. Moderate size spleen enlargement

Explanation: B. i.e. (Moderate size spleen enlargement (439 - Basic pathology 8th)* "Splenomegaly is characteristically absent in Aplastic anemia". Lymphnode, liver are not enlargedAPLASTIC ANEMIA - in which multipotent myeloid stem cells are suppressed leading to marrow failure and pancytopenia.* *Haemorrhage from various sites due to thrombocytopenia such as from the skin, nose, gums, vagina, bowel and occasionally in the CNS and retina* Normocytic normochromic anemia* Reticulocytes count is reduced or zero* *Leucopenia, neutrophils are morphologically normal alkaline phosphatase score is high*** **Hypocellular bone marrowSpur cell anemia is caused by chronic liver disease**